Hallucinations are
1. Feeling of familiarity with unfamiliar thing
2. Alteration of perception of one reality
3. Misinterpretation of stimuli
4. Perception occurring without external stimulation

Correct answer: 4. Perception occurring without external stimulation

Explanation: Hallucination A hallucination is a perception experienced in the absence of an external stimulus. The hallucinations can be in the auditory, visual, olfactory, gustatory or tactile domains. Auditory hallucinations are commonest types of hallucinations in non-organic psychiatric disorders. Ref: A Short Textbook of Psychiatry, Niraj Ahuja, 7th Edition, pg. no. 13